Taste receptors:
1. Primary taste sensations are spatially separated on the surface of the tongue
2. Are a type of chemoreceptor
3. Are innervated by afferent fibres of V, VII & IX
4. All of the above

Correct answer: 2. Are a type of chemoreceptor

Explanation: Taste receptors in the gustatory system: 
The primary use of gustation as a type of chemoreception is for the detection of taste stimuli. Aqueous chemical compounds come into contact with chemoreceptors in the mouth, such as taste buds on the tongue, and trigger responses.